Most common organ involved in blunt injury to the abdomen:-
1. Spleen
2. Liver
3. Intestines
4. Kidney

Correct answer: 1. Spleen

Explanation: MC organ injured in blunt trauma abdomen: Spleen > Liver MC organ injured in penetrating trauma: Small intestine MC injured bowel in blunt trauma abdomen: Jejunum.